A barefoot child steps on some glass on the sole of his foot and complains of numbness of the small toe. He has injured which nerve?
1. Lateral plantar
2. Tibial
3. Medial plantar
4. Superficial peroneal

Correct answer: 1. Lateral plantar

Explanation: The lateral plantar nerve supplies sensation to the distal lateral sole, the plantar aspect of the small toe, and the lateral plantar surface of the fourth toe. Muscular branches are given to the quadratus plantae, abductor digiti minimi, flexor digiti minimi brevis, the interossei, the second, third and fourth lumbricals and the adductor hallucis. The medial plantar nerve courses adjacent to the flexor digitorum brevis muscle, providing motor innervation to the first lumbrical and the abductor hallucis, flexor hallucis brevis, and flexor digitorum brevis muscles.